In depolarization neuromuscular blockage, neural stimulation assessment is best monitored by?
1. Train of four
2. Double burst stimulation
3. Tetanic stimulation
4. Post tetanic count

Correct answer: 1. Train of four